Which of the dye is used commonly in macular surgeries?
1. Alcian blue
2. Brilliant blue green dye
3. Trypan blue
4. Rose bengal dye

Correct answer: 2. Brilliant blue green dye

Explanation: Brilliant blue green dye is used in macular surgery for internal limiting membrane peeling. Dyes in ophthalmology Trypan Blue: Anterior Capsule staining in phacoemulsification. Fluorescein: Epithelial defect. Rose Bengal: Staining devitalized cells. Alcian blue: Macular dystrophy. Masson trichome: Granular dystrophy. Brilliant blue greeen: Macular surgeries.